The most common site of lymphangiosarcoma is
1. Liver
2. Spleen
3. Post mastectomy edema of arm
4. Retroperitoenum

Correct answer: 3. Post mastectomy edema of arm

Explanation: Lymphangiosarcoma is a rare tumor that develops as a complication of long-standing (usually more than 10 years lymphedema.